Growth hormone is increases by?
1. Hypoglycemia
2. Cortisol
3. Methylprednisolone
4. Glucose

Correct answer: 1. Hypoglycemia

Explanation: Hypoglycemia REF: Ganong 22nd edition, chapter 22 table 22-3 Factors that Affect Growth Hormone Secretion in Humans Stimuli that increase secretion Deficiency of energy substrate Hypoglycemia 2-Deoxyglucose Exercise Fasting Increase in circulating levels of certain amino acids Protein meal Infusion of arginine and some other amino acids Glucagon Stressful stimuli Pyrogen Lysine vasopressin Various psychologic stresses Going to sleep L-Dopa and -adrenergic agonists that penetrate the brain Apomorphine and other dopamine receptor agonists Estrogens and androgens Stimuli that decrease secretion REM sleep Glucose Cortisol Free fatty acid Medroxyprogesterone Growth hormone